The right adrenal vein drains into
1. Right renal vein
2. Inferior vena cava
3. Second right lumbar vein
4. Third right lumbar vein

Correct answer: 2. Inferior vena cava

Explanation: These blood vessels supply a network of small arteries within the capsule of the adrenal glands. Venous blood is drained from the glands by the suprarenal veins, usually, one for each gland: The right suprarenal vein drains into the inferior vena cava. ref - semantischolar.org